Cause of myringosclerosis ?
1. Genetic
2. Grommet insertion
3. Otosclerosis
4. None

Correct answer: 2. Grommet insertion

Explanation: Ans. is 'b' i.e., Grommet insertion Tvmpanosclerosis Tympanosclerosis is a condition in which there is calcification of tissue in the eardrum (tympanic membrane) and middle ear. Tympanosclerosis may be classified as : - Myringosclerosis : - Involving only the tympanic membrane. Intratympanic tympanosclerosis : - Involving other middle ear sites : ossicular chain or, rarely, the mastoid cavity. Exact etiology of tympanosclerosis is not known. It may be an abnormal healing process and most commonly occurs in cases of serous otitis media as a complication of ventilation tube (gourmet) insertion. Characteristic chalky white patches are seen on inspection of the eardrum. It is worth noting that cholesteatoma may look similar but the whiteness appears behind, rather than in/on the tympanum. Otherwise tympanosclerosis is asymptomatic. Conductive hearing loss may occur in some cases.